. Period of amenorrhea followed by masive bleeding is seen in premenopausal women with:
1. Irregular ripening
2. Irregular shedding
3. Metropathia hemorrhagica
4. All of the above

Correct answer: 3. Metropathia hemorrhagica